hyper ammonemia is a side effect of
1. valproate
2. amitriptilline
3. amisulpride
4. olanzapine

Correct answer: 1. valproate

Explanation: LETHAL SIDE EFFECTS OF VALPROATE - Hyperammonemia - Pancreatitis - Hepatic failure - Neural tube defects - Thrombocytopenia MINOR SIDE EFFECTS OF VALPROATE - Hair loss - PCOD - WEIGHT GAIN - TREMORS Ref.kaplon and sadock, synopsis of psychiatry,11 th editioon, pg no.935